Interval variable have all properties except:-
1. Identity
2. Magnitude
3. Property of equidistance
4. True zero

Correct answer: 4. True zero

Explanation: Identity Different numerals display different classification Nominal, Ordinal,Interval, Ratio Magnitude Different numerals display different identity and magnitude Ordinal, Interval, Ratio Interval Numerals are meaningful and display property of Equidistance Interval, Ratio True zero Represent the absence of an attribute Ratio - Thus, option-4 is the answer.